Final common pathway of metabolism of carbohydrates, lipids and protein metabolism is ?
1. TCA cycle
2. Glycogenesis
3. Gluconeogenesis
4. None of the above

Correct answer: 1. TCA cycle

Explanation: Ans. is 'a' i.e., TCA cycle Tricarboxylic acid (TCA) cycle is a series of reactions through which final oxidation of acetyl CoA to CO, and H20 occurs along with generation of ATP.TCA cycle is the final common pathway of the oxidation of the acetyl CoA, formed from carbohydrates, fatty acids and amino acids.It provides electrons which are transferred to ETC where they help in the formation of ATP.